Most common adrenal Incidentaloma is?
1. Cortisol producing
2. Aldosterone producing
3. Pheochromocytoma
4. Endocrine inactive tumors

Correct answer: 4. Endocrine inactive tumors

Explanation: Prevalence of Adrenocortical Adenoma Endocrine inactive tumors : 60-85%. Cortisol producing. Aldosterone producing. Pheochromocytoma : 5-10%. Enodocrine inactive tumors are also called as Non- functional tumors